Immediately after eating, a man develops swelling of face and lips, respiratory distress, intense pruiritis, hypotension and feeling of impending doom. The most likely diagnosis is –
1. Angioneurotic edema
2. Anaphylaxis
3. Myocardial infarction
4. Food stuck in throat

Correct answer: 2. Anaphylaxis

Explanation: This patient has :-


Swelling of face & lip    → can occur in both anaphylaxis or locally as angioneurotic edema.
Respiratory distress → can occur in both anaphylaxis or angioneurotic edema.
Intense pruritis    → Occurs in anaphylaxis but not in angioneurotic edema.
Hypotension  → Occurs in anaphylaxis but not in angioneurotic edema.


So, the diagnosis is anaphylaxis.